All are true about bilhemia except:
1. Biliary pressure > portal pressure
2. Diagnosed by ERCP
3. Death due to embolism of bile in lungs
4. Patient has hyperbilirubinemia with raised enzymes

Correct answer: 4. Patient has hyperbilirubinemia with raised enzymes

Explanation: Ans. (d) Patient has hyperbilirubinemia with raised enzymes* Biliary Pressure is more than PV pressure - hence bile enters the Portal vein.* IOC-ERCP* Death may occur due to Massive embolization of bile into lung.* There will be sudden Hyperbilirubinemia with Normal SGOT/SGPT